The ventricular repolarization in ECG is best seen in:
1. "P" wave
2. "Q" wave
3. "R" wave
4. "T" wave

Correct answer: 4. "T" wave